Which of the following statements are True/False about Nephrotic syndrome in a child: 1. Minimal change Nephrotic syndrome accounts for 80-85% cases 2. Serum albumin level below 2.5g/dl 3. Cyclosporine and Azathioprine is mainstay of therapy 4. Pretreatment biopsy is done in all cases
1. 1,2, True & 3,4 False
2. 1,4, True & 2,3 False
3. 3,4, True & 1,2 False
4. 2,3 False & 1,4 True

Correct answer: 1. 1,2, True & 3,4 False

Explanation: Minimal change Nephrotic syndrome accounts for 80-85% cases of Nephrotic syndrome in a child. Serum albumin level i< 2.5g/dl (Hypoalbuminemia). Mainstay of therapy is corticosteroids. Pretreatment renal biopsy is not required to confirm the diagnosis in most patients. Renal biopsy is required only in patients with atypical features of onset (Age below 12 months or over 10 years, persistent hematuria, low blood C3, hypertension or impaired renal function. Ref: O P Ghai, 7th Edition, Page 451; Nelson, 17th Edition, Pages 1753-1756.